In patients with Chronic Myeloid Leukemia
1. ABL gene on Chr. 22 is trans-located to BCR gene on Chr.9
2. The fusion gene bcr-abl forms a protein with tyrosine kinase activity
3. Splenomegaly is unusual
4. Philadelphia chromosome positive patients respond poorly to Imatinib

Correct answer: 2. The fusion gene bcr-abl forms a protein with tyrosine kinase activity

Explanation: Ans. (b) The fusion gene bcr-abl forms a protein with tyrosine kinase activity(Ref: Robbins 9th/pg 616-618)a. FALSE, as ABL gene is on chr9q while BCR is on chr22qb. The fusion gene bcr-abl forms a protein with tyrosine kinase activity: TRUEc. FALSE; Massive splenomegaly is a feature of CMLd. FALSE; as response to Imatinib is good in patients with Philadelphia chromosome +ve